All are B cell marker except :
1. >CD-15
2. >CD-19
3. >CD-21
4. >CD-24

Correct answer: 1. >CD-15

Explanation: CD-15 CD-15 It is expressed on neutrophils, eosinophils and monocytes hut not on platelets, lymphocytes and erythrocytes. The marker for mature B cell are CD 19 CD 20 CD 21 CD 22 CD 24